Which of the following statements regarding treatment of hypothyroidism in a patient with ischemic heart disease is not false:
1. Low dose of Levothyroxine
2. Normal dose of Levothyroxine
3. Do not use Levothyroxine
4. Use thyroid extract

Correct answer: 1. Low dose of Levothyroxine

Explanation: Replacement therapy typically is initiated with 25mcg and the dose is increased gradually.Initiation of levothyroxine therapy in IHD patient is done slowly and the dose is not increased before 6-8 week interval. Ref: The thyroid and cardiovascular risk: Merck European Thyroid Symposium By Karl-Michael Derwahl, Leonides Duntas, Sigrid Butz, Page 71; Mayo Clinic Internal Medicine Board Review By Amit Ghosh, MD, Page 197